Zinc is a cofactor for which of the following enzymes?
1. Hexokinase
2. Cytochrome coxidase
3. Carbonic anhydrase
4. Xanthine oxidase

Correct answer: 3. Carbonic anhydrase

Explanation: Zinc acts as cofactor for many enzymes :

Carbonic anhydrase
Alcohol dehydrogenase
Alkaline phosphatase
Lactate dehydrogenase
ALA dehydratase
Carboxypeptidase.